Appropriate material for antenatal diagnosis of genetic disorders includes all of the following except :
1. Fetal blood
2. Amniotic fluid
3. Chorionic villi
4. Maternal urine

Correct answer: 4. Maternal urine

Explanation: Ans. is d i.e. Maternal Urine Prenatal genetic diagnosis can be made by : Method Sample and study material Chorion villus sampling Amniocentesis Cordocentesis Maternal serum alpha feto protein Triple test Chorion villi -Trophoblastic cells are obtained from Amniotic fluid Fibroblasts Fetal blood White blood cells of fetus Red blood cells of fetus Maternal blood Maternal blood